Which of the signs is associated with CHPS?
1. Target sign
2. Antral nipple sign
3. Cervix sign
4. All of the above

Correct answer: 4. All of the above

Explanation: Target Sign- Antral nipple sign and cervix sign- The sonographic appearance of the hypertrophied pylorus resembles that of the uterine cervix and is sometimes referred to as the 'cervix sign' The treatment is surgical pyloromyotomy most often performed laparoscopically